Natural stiffening of muscles after death is known as ?
1. Algor mortis
2. Rigor mortis
3. Postmortem lividity
4. Cadaveric spasm

Correct answer: 2. Rigor mortis

Explanation: Ans. is 'b' i.e. Rigor mortis Rigor mortis is natural stiffening after death as it occurs in all death.Cadeveric spasm does not occur in all deaths.